True statement about upper halfanal canal is:
1. Insensitive to pain
2. Drained by superficial inguinal lymph node
3. Lined by squamous epithelium
4. Supplied by superior mesentric artery

Correct answer: 1. Insensitive to pain

Explanation: A i.e. Insensitive to pain